Blood flow in hemodialysis machine
1. 100-200 ml/min
2. 300-500 ml/min
3. 700-800 ml/min
4. >1000 ml/min

Correct answer: 2. 300-500 ml/min

Explanation: Blood flow - 300-500 ml/min.
Dialysate - 500-800 ml/min in opposite direction.